Serum creatine kinase-3 (CK-3) is elevated in
1. Muscular dystrophy
2. Myocardial infarction
3. Alcoholic cirrhosis
4. Brain tumours

Correct answer: 1. Muscular dystrophy